Which border of scapula is not palpable ?
1. Medial
2. Lateral
3. Inferior
4. Superior

Correct answer: 4. Superior

Explanation: "The medial border, inferior angle and part of the lateral border of scapula can be palpated on a patient as can the spine and acromian. The superior border and angle of the scapula are deep to soft tissue and are not readly palpable"